Elastic cartilage is found in
1. Auditory tube
2. Nasal septum
3. Articular cartilage
4. Costal cartilage

Correct answer: 1. Auditory tube

Explanation: Distribution of Elastic Cartilage - It forms the 'skeletal' basis of the auricle (or pinna) and of the lateral part of the external acoustic meatus. The wall of the medial part of the auditory tube is made of elastic cartilage. The epiglottis and two small laryngeal cartilages (corniculate and cuneiform) consist of elastic cartilage. The apical part of the arytenoid cartilage contains elastic fibres but the major portion of it is hyaline. NOTE - All the sites mentioned above are concerned either with the production or reception of sound. REF : Inderbir Singh's Textbook of Human Histology, Seventh edition, pg.no.,85.